Demographic processes includes all except :-
1. Fertility
2. Morbidity
3. Mortality
4. Marriage

Correct answer: 2. Morbidity

Explanation: Demography is the scientific study of human population. It focuses its attention on three readily observable human phenomena: Changes in population size (growth or decline) Composition of the population and Distribution of population in space. It deals with 5 "demographic processes" like fertility mortality marriage migration & social mobility These five processes are continuously at work within a population determining size, composition and distribution.